All are true about cerebellum except
1. It has 3 layers, 4 nucleus & 5 cells
2. Climbing fibres are afferent inputs
3. Mossy fibres inhibit Purkinje cells
4. Climbing fibres excite Purkinje cells

Correct answer: 3. Mossy fibres inhibit Purkinje cells

Explanation: C i.e. Mossy fibres inhibit Purkinje cells